Drug used to prevent alcohol withdrawal in de addiction is?
1. Diazepam
2. Clonidine
3. Propanolol
4. Methadone

Correct answer: 1. Diazepam

Explanation: Psychological & medical supportive measures are needed during withdrawal .Many CNS depressant like barbiturates ,phenothiazines ,chloral hydrate have been used as substitution therapy in past (to suppress withdrawal syndrome) but benzodiazepine (chordiazepoxide ,diazepam ) are preferred drugs now. Ref: KD Tripathi 8th ed.